Drugs used in CHF -
1. Nesiritide
2. Digoxin
3. Spironolactone
4. All

Correct answer: 4. All

Explanation: Ans. is 'a' i.e., Nesiritide; 'b' i.e., Digoxin; 'c' i.e., Spironolactone